A female with H/o oligohydramnios during her pregnancy, brings her newborn baby to OPD, on noticing asymmetric thigh folds in her child. The examiner performs flexion, IR and abduction, which produces a click sound. Which is the test done by the examiner?
1. Ortolani test
2. Von Rosen test
3. Mc Murray's test
4. Barlow's test

Correct answer: 1. Ortolani test

Explanation: Clinical Diagnosis - DDH based on the following 1. Abduction is limited (especially in flexion) 2. Asymmetric thigh folds Ortolani's Test--the first two alphabets O and R (Ortolani for Reduction) and for Reduction we do abduction of hip. It is similar to 2nd part of Barlow's test McMurray circumduction test is used to evaluate individuals for tears in the meniscus of the knee